Which of the following statements about Q fever is false -
1. Highly infectious zoonotic disease
2. The mode of transmission is by inhalation
3. Arthropods are involved in its transmission to man
4. There is no rash or local lesion

Correct answer: 3. Arthropods are involved in its transmission to man